Steroid with max mineralocorticoid activity ?
1. Fludrocortisone
2. DOCA
3. Prednisolone
4. Triamsinolone

Correct answer: 1. Fludrocortisone

Explanation: Ans. is 'a' i.e, Fludrocortisone